Stereotactie surgery is used for treatment of
1. Brain tumor
2. Lungs carcinoma
3. Cervix cancer
4. Renal carcinoma

Correct answer: 1. Brain tumor

Explanation: Ans. a. Brain tumor